When a person is asked about his blood sugar level, he answers like "Diabetics have sweet urine... urine and feces are excreta"... Before finally telling his blood sugar. It is an example of?
1. Tangentiality
2. Circumstantiality
3. Flight of ideas
4. Loosening of association

Correct answer: 2. Circumstantiality

Explanation: Ans. is 'b' i.e., Circumstantiality In the given example, the patient's goal is to tell the blood sugar level. But the patient does -not reach his goal directly; rather he gives irrelevant details and digressions.lt is an example of circumstantiality.